A 10-year-old child presents a history of cough and coryza x3 days, increasing Respiratory distress for last 1 day & whistling sound from chest since morning. The child has had multiple similar episodes in the past especially in change of season. What is the most probable diagnosis?
1. Bronchial Asthma
2. Bronchiolitis
3. Bronchopneumonia
4. Foreign body aspiration

Correct answer: 1. Bronchial Asthma

Explanation: Ans. A. Bronchial AsthmaAsthma is a common chronic disease worldwide. Signs and symptoms of asthma include the following:* Wheezing* Coughing* Shortness of breath* Chest tightness/painDiagnosis is largely clinical in children. Usually such children give a history of recurrent episodes of cough and breathlessness especially with change of season. Often these children report exacerbation of symptoms with certain triggers like strong odors, exposure to cold air and dust and pollution. There is usual history of response to bronchodilator therapy. In difficult or doubtful cases spirometry may be used for diagnosis in children especially after 5-6 years.